Most common site of perforation of tympanic membrane in ASOM is:
1. Anterior superior quadrant
2. Anterior inferior quadrant
3. Posterior superior quadrant
4. Posterior inferior quadrant

Correct answer: 2. Anterior inferior quadrant

Explanation: AN SWER: (B) Anterior inferior quadrantREF: Dhingra 4th edition page 62'In acute suppurative otitis media usually, a small perforation is seen in antero-inferior quadrant of pars tensa'